Rhinoplasty is usually done at the age (years) of until the nose is fully grown-
1. 6 years
2. 12 years
3. 16 years
4. 25 years

Correct answer: 3. 16 years

Explanation: • Orthognathic surgery is to correct conditions of the jaw and face related to structure, growth
• Orthognathic surgery is usually performed when facial growth is complete (16 years in female patients, 19 years in male patients).
• It’s suggested to get rhinoplasty (correcting and reconstructing the form, restoring the functions, and aesthetically enhancing the nose) done after 16 years of age, when natural bone structure is “settled”.